Stimulation of which of the following areas of brain is experimentally used to control intractable pain
1. Periaqueductal grey matter
2. Mesencephalon
3. Subthalmic nucleus
4. Medical fore brain bundle

Correct answer: 1. Periaqueductal grey matter

Explanation: ganong's review of medical physiology 24th edition . *mesencephalic periaqueductal gray(PAG) is part of descending pathway that modulates pain transmission by inhibition of primary afferent transmissiion in the dorsal horn of spinalcord *PAG neurons project directly to and activate two groups of neurons in brainstem:neurons in nucleus raphe magnus and in rostral ventromedial medulla . *neurons from both region project to dorsal horn and inhibit dorsal horn neuron activity.